Bones ossified at birth:
1. Lower end of femur
2. Calcaneum
3. Upper end tibia
4. All

Correct answer: 4. All

Explanation: A i.e., Lower end femur B i.e., Calcaneum C i.e., Upper end tibia